Which of the following parameters signifies the effective drug removal from the body?
1. Clearance
2. Bioavailability
3. Safety
4. Volume of distribution

Correct answer: 1. Clearance

Explanation: Ans. (A) Clearance(Ref: KDT 8th/e p38)Clearance of a drug is the theoretical volume of plasma from which the drug is completely removed in unit time.